Which of the following is a removable space regainer
1. Open coil
2. Gerber
3. Hotz
4. Split saddle

Correct answer: 4. Split saddle

Explanation: Split saddle is a removable space regainer while other three are fixed space regainer.